Most common cause of congenital sensineuronal hearing loss -
1. Parvovirus
2. CMV
3. Rubella
4. Toxoplasmosis

Correct answer: 2. CMV

Explanation: Ans. is 'b' i.e., CMV * Cytomegalovirus - Most common viral cause of congenital viral deafness* Mumps - Most common cause viral of acquired sensorineural hearing loss.